Which one of the following is used as preservative for packing catgut suture -
1. Isopropyl alcohol.
2. Colloidal iodine
3. Glutaraldehyde.
4. Hydrogen peroxide.

Correct answer: 1. Isopropyl alcohol.

Explanation: Ans is (a ) ie., isopropyl alcohol